WHO Rose questionnaire is for
1. DVT assessment
2. Alcohol addiction
3. Angina assessment
4. Arrhythmia assessment

Correct answer: 3. Angina assessment